A student unable to deliver speech before audience is suffering from
1. Social phobia
2. OCD
3. Agoraphobia
4. Claustrophobia

Correct answer: 1. Social phobia

Explanation: Social phobia is an example of irrational fear of activities or social interaction, characterised by an irrational fear or social interaction, characterised by an irrational fear of performing activities in the presence of other people or interacting with others. The patient is afraid of his own actions being viewed by others critically, resulting in embarrassment or humiliation. (Ref: a short textbook of psychiatry, Niraj Ahuja,7th edition, pg no 93)